Most common subtype of adult ALL?
1. B- lineage ALL
2. Pre-B- ALL
3. T-lineage ALL
4. Cortical T-ALL

Correct answer: 1. B- lineage ALL

Explanation: ALL is the most frequent neoplastic disease in children with an early peak at the age of 3-4 years More than 70% of adult ALLs are of B-cell origin, and the most frequent immunological subtype, common ALL, is characterized by the presence of ALL antigen, a glycoprotein (gp100/CD10). Pro-B-ALL (also termedearly B-precursor ALL) is a leukemia that was formerly termednon-T,non-B-ALL, ornull-ALL as neither T-cell nor B-cell features could be demonstrated. This subtype forms about 11% of adult ALL. Approximately 25% of adult ALL belongs to the T-cell lineage. All cases express the T-cell antigen (gp40, CD7) and cytoplasmatic or surface CD3. They may, according to their step of T-cell differentiation, express other T-cell antigens, e.g., the E-rosette receptor (CD2) and/or the cortical thymocyte antigen T6 (CD1). A minority of T-ALL blast cells may also express common ALL antigen together with other T-cell antigens. According to these markers, it is possible to distinguish a pro-T-ALL (also termedearly T-precursor ALL), cortical, or thymic T-ALL and a mature T-ALL expressing different stages of differentiation.